Commonest type of Retinal detachment –
1. Rhegmatogenous
2. Choroidal hemorrhage
3. Exudative
4. Tractional

Correct answer: 1. Rhegmatogenous

Explanation: Rheugmatogenous retinal detachment is the most common type of retinal detachment.